A4 year baby is having large face, large jaw, large ear and macro orchidism is -
1. Mc Cuneal bright syndrome
2. Down's syndrome
3. Cri-du chat syndrome
4. Fragile X syndrome

Correct answer: 4. Fragile X syndrome

Explanation: Ans. is 'd' i.e., Fragile X syndrome Fragile X syndrome o Fragile X syndrome is the prototype of diseases in which the mutation is characterized by a long repeating sequence of three nucleotides. o Normally, a codon is triplet (trinucleotide). o In these type of disorders, this trinucleotide sequence undergoes amplification and the same sequence is repeated many times in the genome. o In most cases the affected equences share the nucleotide G and C. o Clinical features of fragile - X syndrome Intellectual disability Hyperexntesible joint Long face with large mandible Large testis (macro-orchidism) High arched palate Mitral valve prolapse Large everted ears